Lesser omentum has following contents except -
1. Hepatic vein
2. Hepatic artery
3. Portal vein
4. Bile duct

Correct answer: 1. Hepatic vein

Explanation: Right free margin of lesser omentum contains :-


Hepatic artery proper,
Portal vein,
Bile duct,
Lymph nodes & lymphatics, and
Hepatic plexus of nerves.